Net reproductive rate of 1 can be achieved if Couple production rate is more than:
1. > 30%
2. >40%
3. >50%
4. >60%

Correct answer: 4. >60%

Explanation: Demographers are of the view that a net reproductive rate of 1 can be achieved if couple protection rate (CPR) is > 60%. CPR is based on observation that 50-60% of births in a year are of birth order 3 or more. Thus attaining a CPR of 60% or more will be equivalent to cutting off almost all third or higher order births leaving 2 or less children per couple or net reproductive rate around 1. Ref: Park 21st edition, page 456. Chapter: Demography and family planning.